All of the following enzymes are active within a cell except:
1. Trypsin
2. Fumerase
3. Hexokinase
4. Alcohol dehydrogenase

Correct answer: 1. Trypsin

Explanation: Ans. is 'a' ie Trypsin (Ref: Guyton and Hall, 10/e, p746; Harper's Biochem, 26/e, p76).Trypsin is a powerful pancreatic proteolytic enzyme which would digest the pancreatic cell that produced it, if not have been produce as a proenzyme (- its inactive form known as trypsinogen.) Trypsinogen is activated in the intestinal tract by enzyme called enterokinase.Pancreas has additional protective mechanism against self digestion by Trypsin - Secretion of trypsin inhibiter.All other options are enzymes of the glycolytic pathway which are in their active form within the cells.